Riboflavin is a constituent of -
1. FMN
2. NAD
3. PLP
4. THF

Correct answer: 1. FMN

Explanation: Ans. is 'a' i.e., FMNo Riboflavin is also called Warburg yellow enzy me.o Riboflavin provides the reactive moieties of the coenzymes flavin mononucleotide (FMN) and flavin adenine dinucleotide (FAD).o Flavin coenzymes are involved in oxidoreduction reactions as electron carriers.o These reactions include the mitochondrial respiratory' chain, key enzymes in fatty acid and amino acid oxidation and the citric acid cycle.Riboflavin (Vitamin B.)o Riboflavin is also called Warburg yellow enzyme.o Riboflavin provides the reactive moieties of the coenzymes flavin mononucleotide (FMN) and flavin adenine di nucleotide (FAD).o Flavin coenzymes are involved in oxidoreduction reactions as electron carriers.o These reactions include the mitochondrial respiratory chain, key enzymes in fatty acid and amino acid oxidation and the citric acid cycle,o Flavin dependent (flavoprotein) enzymes are:FMN dependent; L-amino acid oxidase, NADH dehydrogenase.FAD dependent: Complex II of respiratory chain, microsomal hydroxy lase system, D-amino acid oxidase, xanthine oxidase, succinate dehydrogenase, acyl-CoA dehydrogenase, glycerol-3-phosphate dehydrognenase, pyruvate dehydrognenase, a-ketoglutarate dehydrogenase.o Deficiency of riboflavin is charcterized by cheilosis, desquamation and inflammation of tonque, and a seborrheic dermatitis.o Riboflavin nutritional status is assessed by measurement of activation of glutathione reductase by FAD added in vitro.